All except one is recommended for use in emergency contraception
1. Combined oral contraceptives
2. Progestin only regimens
3. Selective oestrogen receptor modulators
4. Antiprogestins

Correct answer: 3. Selective oestrogen receptor modulators

Explanation: Selective progestin receptor modulators are used as emergency contraceptive.